Differential diagnosis of stroke include all EXCEPT
1. Cerebral tumors
2. Subdural hematoma
3. Myocardial infarction
4. Encephalitis

Correct answer: 3. Myocardial infarction